Conversion of lactate to glucose requires all except ?
1. Pyruvate carboxylase
2. Phosphofructokinase
3. PEP carboxykinase
4. Glucose-6-phosphatase

Correct answer: 2. Phosphofructokinase

Explanation: Ans. is `b' i.e., PhosphofructokinaseConversion of lactate to glucose is nothing else but gluconeogenesis.Seven of the reactions of glycolysis are reversible and are used in the synthesis of glucose by gluconeogenesis. Thus, seven enzymes are common to both glycolysis and gluconeogenesis: (i) Phosphohexose isomerase;ii) Aldolase; (iii) Phosphotriose isomerase, (iv) Glyceraldehyde 3-phosphate dehydrogenase; (v) Phosphoglycerate kinase; (vi) Phosphoglycerate mutase; (vii) Enolase.Three reactions of glycolysis are irreversible which are circumvented in gluconeogenesis by four reactions. So, enzymes at these steps are different in glycolysis and gluconeogenesis.Reactions Enzyme in glycolysis Enzyme in gluconeogenesisGlucose - Glucose-6-P Hexokinase/glucokinase Glucose-6-phosphataseFructose-6-P - Fructose-1,6-BP Phosphofructokinase Fructose-1-6-bisphosphatasePhosphoenolpyruvate - Pyruvate Pyruvate kinase Pyruvate carboxylase PEP carboxykinase